Which one of the following is not source of manager's power –
1. Reward
2. Coercive
3. Legitimate
4. Efferent

Correct answer: 4. Efferent

Explanation: Management power 

Power is the ability to influence people.
Management power is, how a manager can make his subordinates do what he wants them to do.
Manager can use following types of power to do so : -


Reward power → Reward based
Coercive power → Fear based
Legitimate power → Position based
Expert power → Knowledge based
Reverent power → Personality based